All the conditions mentioned below are associated with decreased fetal heart rate except
1. Fetal movement
2. Chronic hypoxia
3. Cord compression
4. Head compression

Correct answer: 1. Fetal movement

Explanation: Fetal movement is associated with increase in fetal heart rate .This forms the basis of non stress test. Head compression leads to vagal stimulation and thus bradycardia. Hypoxia and cord compression (causing hypoxia) will also lead to bradycardia.